Investigation of choice to Determine Local Invasion in Esophageal Carcinoma(T staging) is?
1. Transabdominal Usg
2. CECT
3. Endpscopic USG
4. MRI

Correct answer: 3. Endpscopic USG

Explanation: Endoscopic Ultrasound - Determines Local Invasion In Esophageal Carcinoma(T staging).